All of the following are true about accelerated partial breast irradiation (APBI) except
1. APBI is delivered in an abbreviated fashion and a lower total dose than standard course of whole breast radiation.
2. Suitable patients for APBI include women older than or equal to 60 years.
3. Suitable patients for APBI include patients whose tumor Margins negative by atleast 2 mm
4. Suitable patients for APBI include those with multifocal disease.

Correct answer: 4. Suitable patients for APBI include those with multifocal disease.

Explanation: Accelerated partial breast irradiation (APBI) Radiations delivered in an abbreviated fashion (twice daily for 5 days) At a dose lower than the standard course of 5 to 6 weeks of radiation (50 Gray with or without a boost) in the case of whole breast irradiation. Suitable patients for APBI: Female >60 years with : Unifocal lesion T1 stage ER-positive No lymphovascular invasion Margins negative by atleast2 mm Unsuitable patients for APBI : T3 or T4 stage , ER-negative disease, Multifocal, Multicentric, Extensive lymphovascular invasion (LVI), Positive margins.